True about Arterioles is
1. Resistance
2. Exchange
3. Reservoir
4. Pressure

Correct answer: 1. Resistance

Explanation: Arterioles regulate the distribution of blood flow by altering their diameter to increase or decrease the peripheral resistance as required.